All are features of adipocere, except:
1. It consists of fatty acids
2. Takes place in bodies buried in dry sandy soil
3. Takes about 3 weeks to form
4. Bacterial enzymes are necessary for its formation

Correct answer: 2. Takes place in bodies buried in dry sandy soil

Explanation: Ans. Takes place in bodies buried in dry sandy soil